Propofol is used as the drug of choice for inducing anesthesia in which of the following situation?
1. Neurosurgery
2. Day care surgery
3. Cardiac surgery
4. In neonates

Correct answer: 2. Day care surgery

Explanation: It is the induction agent of choice in day care surgery. The half life is 100 minutes, but the clinical effects of a single dose of propofol lasts only for 10 minutes due to its rapid redistribution. It has minimal residual impairment, anti emetic and anti pruritic property, making it a suitable drug for day care surgery. Ref: Essentials of Medical Pharmacology By KD Tripathi, 5th Edition, Page 343